Absorption of glucose is intestine is by
1. Secondary active transport
2. Facilitated diffusion
3. Primary active transport
4. Osmosis

Correct answer: 1. Secondary active transport

Explanation: Ref. Guyton. 13th edition. Page. 840
Primary and secondary transport 

In primary active transport, ATP is consumed directly by the transporting protein, (e.g., the Na/K-ATPase pump, or the calcium-dependent ATPase of the sarcoplasmic reticulum).  
Secondary active transport depends indirectly on ATP as a source of energy, as in the co-transport of Na-glucose in the proximal tubule. This process depends on ATP utilized by the Na/K-ATPase pump.  
Glucose moves up a concentration gradient via secondary active transport.